Operative managements of varicocele are indicated in all of the following conditions except
1. Ipsilateral testis small size
2. Oligospermia on semen alalysis
3. Grade - 3 varicocele (large size)
4. Signs or symptoms absent

Correct answer: 4. Signs or symptoms absent

Explanation: Indications for operative management of varicocele are (1) infertility, particularly with impaired semen parameters(oligospermia) or sperm quality, (2) hypogonadism, (3) scrotal pain, (4) testicular hypotrophy, particularly in the pediatric population and (5) aesthetic issues with large varicoceles. Reference : page 1077 SRB's manual of surgery 5th edition.